Mouth-to-mouth breathing delivers_____% oxygen into the subject's respiratory system:
1. 8%
2. 10%
3. 16%
4. 20%

Correct answer: 3. 16%

Explanation: In mouth-to-mouth breathing, exhaled air is delivered into the subject's respiratory system. This exhaled air is a mixture of dead space air (about 20% oxygen) and the alveolar air (about 10% oxygen). Hence, the delivered air contains about 16% oxygen, along with CO2 and nitrogen.